Hemobilia patients presents with GI bleeding and elevated liver biochemical tests. The diagnosis is confirmed by:
1. Side viewing duodenoscope
2. CECT abdomen
3. USG abdomen
4. Laparotomy

Correct answer: 1. Side viewing duodenoscope

Explanation: Hemobilia Occur in patients with liver trauma, undergone a liver biopsy, manipulation of the hepatobiliary system, as occurs with endoscopic retrograde cholangiopancreatography (ERCP), percutaneous transhepatic cholangiography, or TIPS, or have hepatocellular carcinoma or a biliary parasitic infection. SYMPTOMS: Patient present with a combination of GI bleeding and elevated liver biochemical test levels. INVESTIGATION: The diagnosis is confirmed by a side-viewing duodenoscope to identify bleeding from the ampulla TREATMENT: Arterial embolization arteriography Ref: Sleisenger and Fordtran's, E-9, P-301.